Ground glass appearance is seen in
1. Inverted pappilomma
2. Fibro calcification
3. Fibrous dysplasia of bone
4. Chronic osteomyelitis

Correct answer: 3. Fibrous dysplasia of bone

Explanation: Refer Robbins page no 1231 8th edition The lesions of fibrous dysplasia are well circumscribed, intra- medullary, and vary greatly in size. Larger lesions expand and distort the bone. The lesional tissue is tan-white and gritty and is composed of curvilinear trabeculae of woven bone sur- rounded by a moderately cellular fibroblastic proliferation. The curvilinear shapes of the trabeculae mimic Chinese characters, and the bone lacks prominent osteoblastic rimming (Fig. 26-38). Nodules of hyaline cartilage with the appearance of disorga- nized growth plate are also present in approximately 20% of cases. Cystic degeneration, hemorrhage, and foamy macro- phages are other common findings.